All are mononuclear-macrophages except -
1. Histiocytes
2. Microglia
3. Kupfer cells
4. B-cells

Correct answer: 4. B-cells

Explanation: Macrophages take various forms (with various names) throughout the body (e.g., histiocytes, Kupffer cells, alveolar macrophages, microglia, and others), but all are part of the mononuclear phagocyte system Reff: Ananthanarayan & Panikers textbook of microbiology 9th edition pg: 137